What are the chances of vertical transmission of Hepatitis B in women who are seropositive for both HBsAg and HBeAg ?
1. 25-30%
2. 40%
3. 60%
4. 90%

Correct answer: 4. 90%

Explanation: Ans:D.)90% Vertical Transmission of Hepatitis B In patients with acute hepatitis B vertical transmission occurs in up to 10% of neonates when infection occurs in the first trimester and in 80 -90% of neonates when acute infection occurs in the third trimester. In women who are seropositive for both HBsAg and HBeAg vertical transmission is approximately 90%. 10-20% of women seropositive for HBsAg transmit the virus to their neonates in the absence of immunoprophylaxis. The increased risk of transmission with HBeAg positive status is due to high titres of HBV in these women.